Poverty index does not include deprivation of
1. Long life
2. Knowledge
3. Income
4. Standard of living

Correct answer: 3. Income